Flouride cause inhibition of
1. PDH
2. Enolase
3. G6PD
4. Pyruvate kinase

Correct answer: 2. Enolase

Explanation: Repeated question